The nasopharynx is visualised in OPD by:
1. PNS mirror
2. Tongue depressor
3. Both PNS mirror and tongue depressor
4. None

Correct answer: 3. Both PNS mirror and tongue depressor

Explanation: (c) Both PNS (postnasal space) mirror and tongue depressor(Ref. Scott Brown, Vol 3; 98)To examine nasopharynx or post nasal space in OPD, posterior rhinoscopy is done.Here the tongue is depressed using a tongue depressor and then the PNS mirror is passed behind the uvula. The glass surface of the PNS mirror is pre warmed so as to avoid mist formation, due to patient's breath, during examination.